Old contamination of water is indicated by
1. Nitrites
2. Nitrates
3. Ammonia
4. Chlorides

Correct answer: 2. Nitrates

Explanation: Ans. is 'b' i.e., Nitrates